In type II respiratory failure,there is
1. Low pO2 and low pCO2
2. low pO2 and high pCO2
3. Normal pO2 and high pCO2
4. Low pO2 and normal pCO2

Correct answer: 2. low pO2 and high pCO2

Explanation: Ref Harrison 19 th ed. pg1731-1732 Type II respiratory failure is characterized by decreased paO2 and incresinc paCO2 as a result of alveolar hypoventilation.there is fall in minute ventilation which causes a rise in PaCO2 and fall in PaO2. The alveolar arterial gradient is normal in Type 2 respiratory failure.